The adenocarcinoma of esophagus-develops in -
1. Barret's esophagus
2. Long standing achalasia
3. Corrosive stricture
4. Alcohol abuse

Correct answer: 1. Barret's esophagus

Explanation: Adenocarcinoma of esophagus almost always arises in Barrett's esophagus.
Other option i.e. long standing achalasia, corrosive stricture and alcohol abuse are risk factors for squamous cell Ca of esophagus